Efavirenz is used for treatment of HIV infections. It acts:
1. As protease inhibitor
2. As reverse transcriptase inhibitor
3. As integrase inhibitor
4. By inhibiting the HIV entry into the cell

Correct answer: 2. As reverse transcriptase inhibitor

Explanation: ANTIVIRAL DRUGS: Nonnucleoside reverse transcriptase inhibitors (NNRTis): Nevirapine, Efavirenz, Delavirdine* Nevirapine (NVP) and Efavirenz (EFV) These are nucleoside unrelated compounds which directly inhibit HlV reverse transcriptase without the need for intracellular phosphorylation. Their locus of action on the enzyme is also different. They are more potent than AZT on HIV -1, but do not inhibit HIV -2. Viral resistance to these drugs develops by point mutation and cross resistance is common among different NNRTis, but not with NRTis or Pis. ESSENTIALS OF MEDICAL PHARMACOLOGY K.D.TRIPATHI SIXTH EDITION PAGE NO:772